The most common cause of chronic renal failure is-
1. Diabetes mellitus
2. Hypertension
3. Glomerular diseases
4. Interstitial diseases

Correct answer: 1. Diabetes mellitus

Explanation: Diabetic nephropathy is the single most common cause of chronic renal failure, accounting for 45%of patients receiving renal replacement therapy . Ref:Harrison 20th edition pg no .2144